All are branches of lumbar plexus EXCEPT:
1. Iliohypogastric nerve
2. Ilioinguinal nerve
3. Obturator nerve
4. Subcostal nerve

Correct answer: 4. Subcostal nerve

Explanation: Subcostal nerve is the anterior division of the 12th thoracic nerve, is larger than the other intercostal nerves.